Food poisoning with shortest incubation period is caused by -
1. Salmonella
2. Cl perfringes
3. V cholera
4. Bacillus cereus

Correct answer: 4. Bacillus cereus

Explanation: Ans. is 'd' i.e., Bacillus cereus OrganismSymptomsFood soureIncubation1. Staph aureusDiarrhea, Vomiting, No feverMeat, dairy & poultry productperiod 1-6 hrs2. Bacillus cereus (emetic type)Vomiting, diarrhea, No feverFried riceIncubation1. Bacillus cereus (diarrheal type)Diarrhea, no vomiting, no feverWide range ->> meat vegetables, cerealsperiod 8-16 hrs2. C1. perfringensDiarrhea, no vomiting, no feverBeef, poultry, legumesIncubation1. V. choleraeDiarrhea, vomiting, No feverWide range of foodPeriod > 16 hrs2. V. ParahemolyticusDiarrhea, vomiting, feverSea food3. Salmonella species4. Shigella species5. Campylobacter jejuniDiarrhea, fever, rarely vomitingDiarrhea, fever rarely vomitingDiarrhea, fever, no vomitingBeef, poultry, eggs, dairy productsPotato or egg salad, raw vegetablesPoultry raw milk